Theory of contagion was first given by
1. Paracelsus
2. Fracastorius
3. Vesalius
4. Pare

Correct answer: 2. Fracastorius

Explanation: Fracastorius, an Italian physician enunciated the 'theory of contagion'. He envisaged the transfer of infection minute invisible particles and explained the cause of epidemics. Ref: 25th edition, Park's Textbook of Preventive and Social Medicine, Page no. 5